Lens of eye develop from:
1. Neural ectoderm
2. Neural crest
3. Surface ectoderm
4. Mesoderm

Correct answer: 3. Surface ectoderm

Explanation: ANSWER: (C) Surface ectodermREF: Yanoff & Ducker- ophthalmology 2nd edition page 22-23, Parson 20th edition page 5, Khurana 4th edition page 10DEVELOPMENT OF OCULAR STRUCTURES:NeuroectodermSurface ectodermMesoderm* Epithelium of iris and ciliary bodies* Conjunctival andcorneal epithelium* Sclera* Muscles of iris(constrictor pupillae/Dilator pupillae)* Comeal stroma and endothelium* Lacrimal and tarsal glands* Retina with its pigment epithelium* Lens* Iris stroma and endothelium* Optic vesicle and cup* Choroid* Optic nerve* Primary or primitive vitreous* Secondary or definitive or vitreous proper* Ciliary zonules (tertiary vitreous)* Blood vessels of eye* Muscles of eye (except iris)* Trabecular meshwork* Glial tissue of optic nerve and sheath